Which of the following sensation are transmitted by the Dorsal tract/Posterior column?
1. Fine touch
2. Pain
3. Temperature
4. All of the above

Correct answer: 1. Fine touch

Explanation: Fasciculus gracilis and fasciculus cuneatus occupy the posterior white funiculus of the spinal cord, and are, therefore, often referred to as the posterior column tracts. Functions: -components of sense of touch: Fine-touch Tactile touch Tactile localization Tactile discrimination Stereognosis. - proprioceptive impulses - sense of vibrations. Ref: guyton and hall textbook of medical physiology 12 edition page number: 691,692,693